Ossification centre appearing just before birth is-
1. Lower end of femur
2. Lower end of tibia
3. Upper end humerus
4. Scaphoid

Correct answer: 1. Lower end of femur